Blood supply of femoral head is -
1. Femoral artery
2. Obturator artery
3. Medial & lateral circumflex artery
4. All of the above

Correct answer: 4. All of the above

Explanation: Blood supply- femoral head
Femoral artery

  Profunda femoris artery


Medial circumflex femoral artery- Major supply
Lateral circumflex femoral artery

Obturator artery

Artery of ligamentum teres
Intramedullary vessels in femoral neck.